All of the following can occure as complications of fracture of the neck of femur except:
1. Shortening
2. Non - union
3. Mal - union
4. Avascular necrosis

Correct answer: 3. Mal - union

Explanation: C i.e. Mal-union